Wernicke's encephalopathy is due to the deficiency of:
1. Niacin
2. Cyanocobalamine
3. Pantothenic acid
4. Thiamine

Correct answer: 4. Thiamine

Explanation: D Harper, 26th ed. p. 489 & 25th ed, p. 628